Plasmapharesis is used in all of the following except
1. Myaesthenic crisis
2. Cholinergic crisis
3. Gullian Barre syndrome
4. Polymyositis

Correct answer: 2. Cholinergic crisis

Explanation: Plasmapheresis of the autologuous and exchange types is used to treat a variety of disorders, including those of the immune system, such as Goodpasture's syndrome, Guillain-Barre syndrome, lupus, Polymyositis , myasthenia gravis, and thrombotic thrombocytopenic purpura. Ref - pubmed.com